All of the following pass through Lesser Sciatic Foramen, except:
1. Pudendal nerve
2. Internal pudendal vessel
3. Nerve to obturator internus
4. Inferior gluteal vessels

Correct answer: 4. Inferior gluteal vessels

Explanation: Inferior gluteal vessels